Most common lung carcinoma is non-smokers and women?
1. Small cell carcinoma
2. Adenocarcinoma
3. Squamous cell carcinoma
4. Large cell carcinoma

Correct answer: 2. Adenocarcinoma

Explanation: Ans is 'b' i.e. Adenocarcinoma o Adenocarcinoma is the overall most common type of lung carcinoma.o Adenocarcinoma is the most common type of lung carcinoma in non-smokers and females.o Squamous cell (epidermoid) carcinoma is the most common type of lung carcinoma in India.o Squamous cell carcinoma is the most common type of lung carcinoma in smokers and males.